All are true about pulmonary embolism, except :
1. Chest pain is the most common symptom
2. Most commonly presents within 2 weeks
3. More is the survival time, more is the chance of recovery
4. Arises from leg veins

Correct answer: 1. Chest pain is the most common symptom

Explanation: Answer is A (Chest pain is the most common symptom): `Dyspnea is the most frequent symptom of PE and tachypnea is the most frequent sign'-Harrison 16th/1561 Chest pain is due to pulmonary infarction and usually indicates a small PE located distally near the pleura.